Onset of LH surge precedes ovulation by:
1. 12 hours
2. 24 hours
3. 36 hours
4. 48 hours

Correct answer: 3. 36 hours

Explanation: LH surge 36 hrs (24- 36 hrs) before ovulation. LH peak 12 hrs before ovulation.